RBC membrane is maintained by:-
1. Spectrin
2. Laminin
3. Collagen
4. Elastin

Correct answer: 1. Spectrin

Explanation: Ans. is 'a' spectrin .Proteins maintaining the shape, flexibility and the strength of RBC membrane are-Spectrin (most important)AnkyrinProtein 4.1A deficiency of any one of the membrane skeletal proteins can cause hereditary spherocytosis* (though spectrin is the most common defect).